Xylitol affects the MS stains by:
1. Reduced adhesion are seen.
2. Less virulence properties are seen.
3. Less acid production are seen.
4. Anyone of the above.

Correct answer: 4. Anyone of the above.